Rapid infusion of insulin causes-
1. Hyperkalemia
2. Hypokalemia
3. Hypernatremia
4. Hyponatremia

Correct answer: 2. Hypokalemia

Explanation: * Insulin, b2-adrenergic activity, thyroid hormone, and alkalosis promote Na+/K+-ATPase-mediated cellular uptake of K+, leading to hypokalemia. * stimulation of endogenous insulin can provoke hypokalemia, hypomagnesemia, and/or hypophosphatemia in malnourished patients given a carbohydrate load. (reference harrisons principles of internal medicine, 19E page-305)